Oxytocin challenge test for assessing fetal well-being is contraindicated in all except :
1. Placenta previa
2. Previous 2 LSCS
3. Breech
4. Premature labour

Correct answer: 3. Breech

Explanation: Contraindications compromised fetus previous history of CS Complications likely to produce premature labour APH multiple pregnancy D.C.DUTTA'S TEXTBOOK OF GYNECOLOGY,pg no:501,7th edition